A primigravida presented with increased fatigue, sleepiness and cold intolerance. Blood investigations shows increased TSH levels. Hypothyroidism in pregnancy is LEAST likely associated with:
1. Recurrent abortions
2. Polyhydramnios
3. IUGR
4. Preterm labour

Correct answer: 2. Polyhydramnios

Explanation: The most common cause of hypothyroidism in pregnancy is Hashimoto thyroiditis, characterized by glandular destruction from autoantibodies, particularly antithyroid peroxidase antibodies. There is an increased risk of, Preeclampsia Placental abruption Recurrent abortions Intrauterine growth restriction Prematurity Cardiac dysfunction Intrauterine fetal demise Ref: Bannerman C (2013). Chapter 32. Thyroid & Other Endocrine Disorders during Pregnancy. In DeCherney A.H., Nathan L, Laufer N, Roman A.S. (Eds),CURRENT Diagnosis & Treatment: Obstetrics & Gynecology, 11e.